Type of cataract in chalcosis is
1. Sunflower cataract
2. Blue dot Cataract
3. Snowflake cataract
4. Polychromatic lustre

Correct answer: 1. Sunflower cataract

Explanation: Answer- A. Sunflower cataract